Selenium is a co-factor for
1. Glutathione peroxidase
2. Glutathione reductase
3. Glutathione synthetase
4. Glutathione dehydrogenase

Correct answer: 1. Glutathione peroxidase

Explanation: Selenium is component of selenocysteine, glutathione peroxidase, thioredoxin, deiodinaseThe peroxides that are formed by radical damage to lipids in membranes and plasma lipoproteins are reduced to hydroxy fatty acids by glutathione peroxidase.Ref: Harper's Biochemistry; 30th edition; Pg: 567